Japanese Encephalitis is caused by
1. Transmitted by Culex mosquitoes
2. Transmitted by Anopheles mosquitoes
3. Transmitted by Mansoni mosquitoes
4. Transmitted by Aedes mosquitoes

Correct answer: 1. Transmitted by Culex mosquitoes

Explanation: Transmitted by Culex mosquitoes